Which of the following is a characteristic feature of Henoch-Schonlein Purpura?
1. Blood in stool
2. Thrombocytopenia
3. Intracranial hemorrhage
4. Susceptibility to infection

Correct answer: 1. Blood in stool

Explanation: Henoch-schonlein purpura is a small vessel vasculitis characterized by palpable purpura arthralgias, gastrointestinal signs and symptoms, glomerulonephritis. Gastrointestinal involvement is characterized by colicky abdominal pain, nausea, vomiting, diarrhea, or constipation and frequently associated with passage of blood and mucus per rectum. Ref: Harrisons Internal Medicine, 18th Edition, Chapter 326